Type IV hypersensitivity to Mycobacterium tuberculosis antigen may manifest as –
1. Iridocylitis
2. Polyarteritis nodosa
3. Phlyctenular conjunctivitis
4. Giant cell arteritis

Correct answer: 3. Phlyctenular conjunctivitis

Explanation: Phlyctenular conjunctivitis is type IV hypersensitivity reaction to endogenous allergen (tubercular protein, staphylococcal protein).